Which among the following is the commonest site of fracture of mandible?
1. Angle
2. Body
3. Coronoid process
4. Condylar process

Correct answer: 4. Condylar process

Explanation: The commonest site of the mandible is condylar process followed by angle, body and symphysis of mandible (Mnemonics - CABS).